Seen in Rokitansky kustner syndrome is?
1. Ovarian agenesis
2. Vaginal aplasia
3. Bicornuate uterus
4. Septate uterus

Correct answer: 2. Vaginal aplasia

Explanation: Vaginal aplasia REF: Novak's Gynecology 13TH edition chapter 23 Mayer-Rokitansky-Kuster-Hauser (MRKH) syndrome consists of vaginal aplasia with other mtillerian (ie, paramesonephric) duct abnormalities